In an epidemiological study, the first case which comes to the attention of the investigator is -
1. Reference case
2. Index case
3. Primary case
4. Secondary case

Correct answer: 2. Index case

Explanation: Primary case refers to the first case of a communicable disease introduced into the first unit being studied. Index case is the first case which comes to the attention of the investigator. They may not always be the same. Ref: 25th edition, Park's Textbook of Preventive and Social Medicine, Page no. 103